Bed of tonsil is formed by ?
1. Superior constrictor
2. Middle constrictor
3. Inferior constrictor
4. Platysma

Correct answer: 1. Superior constrictor

Explanation: Ans. is 'a' i.e., Superior constrictor Tonsillar bed is formed by the following : Pharyngobasilar fascia Buccopharyngeal fascia Glossopharyngeal nerve Superior constrictor muscle Styloglossus muscle